The first evidence of cartilage getting converted to bone in craniofacial skeleton occur during
1. Fourth Postnatal week
2. Eighth Prenatal week
3. Fourth Prenatal week
4. Eighth Postnatal week

Correct answer: 2. Eighth Prenatal week